Beta blocker drug CONTRAINDICATED in asthma patients:
1. Metoprolol
2. Atenolol
3. Propranolol
4. Acebutolol

Correct answer: 3. Propranolol

Explanation: Ans. C i.e. Propranolol Propranolol should be used with caution in people with: DM or hyperthyroidism, since signs and symptoms of hypoglycemia may be masked. PVD and Raynaud's syndrome, which may be exacerbated Phaeochromocytoma, as hypertension may be aggravated without prior alpha blocker therapy Myasthenia gravis, may be worsened Other drugs with bradycardic effects Propranolol is contraindicated in patients with: Reversible airways disease, particularly asthma or COPD Bradycardia ( Sick sinus syndrome AV block (second or third degree) Shock Severe hypotension Cocaine toxicity PVD/ Peripheral Vascular Disease